Tse-tse fly transmits-
1. Trypansoma brucei
2. T.cruzi
3. Kala-azar
4. Oriental sore

Correct answer: 1. Trypansoma brucei

Explanation: short stumpy trypomastigotes are sucked by tse tse fly These forms reach the midgut and develop into long slender forms and multiply Reach salivary gland and form epimastigotes (refer pgno:46 baveja 3 rd edition)